Gastrotomy is
1. Open the stomach closed after tube insertion
2. Opening the stomach
3. Resecting the terminal part of stomach
4. Resecting the proximal part of stomach

Correct answer: 2. Opening the stomach

Explanation: an incision made in the stomach is called gastrotomy The opening created surgically in the abdominal wall for the purpose of providing access to the stomach to feed an individual who is incapable of normal food intake by inserting a tube is called gastrostomy. the opening created surgically in the abdominal wall for the purpose of providing access to the stomach to feed an individual who is incapable of normal food intake. Resecting proximal part of stomach is called gastrectomy In subtotal gastrectomy, distal part of a tumour is resected Reference: Bailey and love's edition 24 page no. 1056, SRB edition 5 page no. 858, internet